Which is the most common type of primary CNS lymphoma in AIDS Positive patients?
1. Centroblastic large cell lymphoma
2. Immunoblastic Large cell lymphoma
3. Anaplastic B- Cell Lymphoma
4. Lymphoplasmacytic Lymphoma

Correct answer: 2. Immunoblastic Large cell lymphoma

Explanation: Primary CNS lymphoma -Immunocompetent patients is diffuse large B cell Lymphoma(DLBCL) -Immune deficient patients with HIV infected or organ transplant recipients on immunosuppression is Immunoblastic Large cell lymphoma(ILCL) Immunoblastic lymphoma is one of 3 morphologic variants of diffuse large B cell lymphoma (DLBCL): Centroblastic lymphoma Anaplastic B-cell lymphoma. Immunoblastic Large cell lymphoma